All of the following are true about therapy for tuberculosis, except -
1. 'Flu like syndrome' is usually seen in people taking rifampicin on daily basis
2. Ethambutol accumulates in renal failure
3. Hyperuricemia is a recognized side effect of pyrazinamide
4. Red-green color impairment is an early sign of ethambutol induced optic neuritis

Correct answer: 1. 'Flu like syndrome' is usually seen in people taking rifampicin on daily basis

Explanation: Ans. is 'a' i.e.,`Flu like syndrome' is usually seen in people taking rifampicin on daily basis. o Flu like syndrome is not seen with daily dose of Rifampicin. o It results with intermittent dosing Adverse effect of Ethambutol o Ethambutol is relatively non toxic. The main adverse effect of Ethambutol is retrobulbar optic neuritis (unilateral or B/L). This causes:- Loss of visual activity Red-green colour blindness Central scotoma Peripheral vision loss. The changes reverse, if the t/t is stopped promptly if not, the patient may go blind. o Children below 6 years of age are not given ethambutol because children are unable to report early visual deterioration. o Ethambutol also produces hyperuricemia Ethambutol in renal failure Excretion of ethambutol mainly takes place by kidney, by tubular secretion as well as by glomerular filtration therefore the dose of Ethambutol should be reduced when renal function is impaired. Dose is reduced when creatinine clearance rate is < 50m1/min to prevent drug accumulation and toxicity. Adverse effect of Pyrazinamide o Pyrazinamide produces hyperuricemia, hepatitis, arthralgia, fever, flushing, rashes, loss of diabetes control. Adverse effects of streptomycin Nephrotoxicity, Ototoxicity, Neuromuscular blockade.